MacCullum plaques in acute rheumatic fever are usually seen in
1. Right atrium
2. Left atrium
3. Right ventricle
4. Left ventricle

Correct answer: 2. Left atrium